Which statement best describes the posterior compartment of the thigh?
1. The common origin for the posterior thigh muscles (hamstrings) is the Ischial Spine.
2. Adductor Magnus is a muscle of the posterior compartment of thigh
3. All the hamstring muscles are innervated by the Obturator Nerve.
4. Both heads of Biceps Femoris take origin from the pelvis.

Correct answer: 2. Adductor Magnus is a muscle of the posterior compartment of thigh

Explanation: Adductor magnus has a hamstring portion and adductor portion and is, therefore, part of both the medial and posterior compartments and is dually innervated by the obturator and sciatic nerves. The common hamstring origin is the ischial tuberosity. The tibial part of sciatic nerve innervates all the muscles of the posterior compartment of the thigh , with the exception of the short head of biceps which is innervated by its common peroneal component. Its terminal divisions go on to innervate all the muscles of the leg. Biceps femoris has a long head which arises from the Ischial Tuberosity, and a short head which arises from the distal part of the inferolateral aspect of the femur.